Property of acquiring antibiotic resistance from viral colony is by:
1. Transference
2. Conjugation
3. Transduction
4. Mutation

Correct answer: 3. Transduction

Explanation: Ans. is 'c' i.e., Transduction (Ref: Ananthanarayan, 9th/e, p. 59 and 8th/e, p. 63, 67, 681)Acquiring antibiotic resistance by viral colony (bacteriophage) is by transduction.